Primary cause of bleeding disorder in liver damage is due to
1. decreased level of prothrombin
2. Lack of vitamin K
3. Platelet deficiency
4. Lack of vitamin B

Correct answer: 1. decreased level of prothrombin